Duchenne muscular dystrophy is inherited as -
1. X linked
2. Autosomal dominant
3. Autosomal recessive
4. Codominant

Correct answer: 1. X linked

Explanation: Ans. is 'a' i.e., X linked o The two most common forms of muscular dystrophy are X-linked:- Duchenne muscular dystrophy and- Becker muscular dvstrophv.X-linked Recessive disordersMusculoskeletalo Duchene muscular dystrophyo Chronic gramilomatus diseaseHematologicalo Hemophilia A & Bo G-6-PD deficiencyImmuneo Agammaglobulinemiao Wiskott-Aldrich synd.Metabolico Diabetes insipiduso Lesch Nyhan syndromeNervouso Fragile-X-syndromeo Colour blindnessX-linked dominant disorderso Vitamine D resistant ricketso Familial hypophosphatemia